The most common cause of Addison's disease is:--
1. Autoimmune adrenalitis
2. Meningococcal septicemia
3. Malignancy
4. Tuberculosis

Correct answer: 1. Autoimmune adrenalitis

Explanation: Ans. is 'a' Autoimmune adrenalitis " In early series, tuberculosis was responsible for 70 to 90% of cases, but the most frequent cause now is idiopathic atrophy, and an autoimmune mechanism is probably responsible". - Harrison, 15/e, P 2098Remember MC cause of Addison's ds* - Autoimmune adrenalitisMC cause of Addison's ds in India* - TB (API, 6/e, p 972)